Inner ear is present in which bone:
1. Parietal bone
2. Petrous part of temporal bone
3. Occipital bone
4. Petrous part of squamous bone

Correct answer: 2. Petrous part of temporal bone

Explanation: (b) Petrous part of temporal bone(Ref. Shambaugh, 6th ed., page 32)Cartilaginous bones ossify from a cartilage model (endochondral bone formation), e.g. Bony labyrinth also called as Otic capsuleIn contrast to cartilaginous bone, membranous bone also called as dermal bone does not form from cartilage that then calcifies. Dermal bone is formed within the dermis and grows by accretion only-the outer portion of the bone is deposited by osteoblasts. Examples of membranous or dermal bones are clavicle and patella.Inner ear bony labyrinth is present in the petrous part of temporal bone. It is known as petrous (which means rock like) as it is one of the densest bones of the body, though not the strongest. The strongest bone of the body is the femur.